Prevention of developing risk factors in CAD comes under:
1. Primary prevention
2. Secondary prevention
3. Primordial prevention
4. Tertiary prevention

Correct answer: 3. Primordial prevention

Explanation: Ans. C: Primordial prevention